Most common complication of Circumcision is
1. Infection
2. Bleeding
3. Meatal stenosis
4. None of the above

Correct answer: 2. Bleeding

Explanation: Most common complication of circumcision is bleeding followed by infection.